Prevalence of a disease depends upon the following-
1. Incidence
2. Duration
3. Both of the above
4. None of the above

Correct answer: 3. Both of the above

Explanation: .prevalence of a disease can be calculated as prevalence is the product of incidence and the mean duration of the illness. ref:parks textbook ,22nd edition,pg no 59